Peripartum cardiomyopathy occurs at:
1. Within 7 days
2. Within 6 weeks
3. Within 24 months
4. Within 5 months

Correct answer: 4. Within 5 months

Explanation: Ans. d. Within 5 monthsRef: Williams Obstetrics 24th Ed; Page No-989PERIPARTUM CARDIOMYOPATHYIn this condition, the patient does not has any underlying heart disease, but develops idiopathic biventricular cardiac decompensation between the last few weeks of pregnancy and the first few months after delivery.Risk factors include elderly pregnancy, high parity, hypertension, and twin pregnancies.Mortality rate is 75% if reversal does not occur within 6 months.Management is supportive, intensive care unit (ICU) care.DIAGNOSTIC CRITERIA FOR PERIPARTUM CARDIOMYOPATHYDevelopment of cardiac failure in the last month of pregnancy or within 5 months after delivery,Absence of an identifiable cause for the cardiac failure,Absence of recognizable heart disease prior to the last month of pregnancy, andLeft ventricular systolic dysfunction demonstrated by classic echocardiographic criteria, such as depressed ejection fraction or fractional shortening along with a dilated left ventricle.